When treated with simple curettage which odontogenic tumour is most likely to recur
1. Complex odontoma
2. Compound odontoma
3. Odontogenic myxoma
4. Ameloblastic fibroma

Correct answer: 3. Odontogenic myxoma